large friable irregular vegetation on the valves
1. RHD
2. Infective Endocarditis
3. LSE
4. NBTE

Correct answer: 2. Infective Endocarditis

Explanation: ref : robbins 10th ed